All of the following may precipitate digitalis toxicity except :
1. Hypocalcemia
2. Hypokalemia
3. Hypomagnecemia
4. Hypothyroidism

Correct answer: 1. Hypocalcemia

Explanation: Answer is A (Hypocalcemia) Calcium synergizes with digitalis and precipitates its toxicity. Thus digitalis toxicity is associated with hypercalcemia and not hypocalcemia Also Remember: Digitalis does not cause Hypokalemia Q but Hypokalemia enhances digitalis toxicity e - Digitalis toxicity causes Hyperkalemia e-Harrison - Hypokalemia enhances digitalis toxicity (by increasing its binding to Na+/K+ ATPase Q Both Hyperthyroidism and Hypothyroidism enhance digitalis toxicity - Thyrotoxicosis : patients are more prone to develop digitalis arrhythmia. Q - Myxoedema : enhances responsiveness. These patients eliminate digoxin more slowly. e - Magnesium depletion (hypomagnesimia) may reduce tolerance to digitalis Q